Selective medium for Bacillus anthracis
1. PLET medium
2. MYPA medium
3. NYA medium
4. HOYLE medium

Correct answer: 1. PLET medium

Explanation: PLET is selective medium for Bacillus anthracis.